If a single spinal nerve is cut, the area of  tactile  loss  is  always  greater  than the area of loss of painful sensations, because
1. Tactile information is carried by myelinated fast conducting fibres
2. Tactile receptors adapt quickly
3. Degree of overlap of fibres carrying tactile sensation is much less
4. In the primary sensory cortex, tactile sensation is represented on a larger  area

Correct answer: 3. Degree of overlap of fibres carrying tactile sensation is much less

Explanation: There is much overlapping between pain carrying fibers as compared to touch.